Absolute contraindication to thiopentone:
1. Cardiotoxicity
2. Acute intermittent phorphyria
3. Malignant hyperthermia
4. Methhemoglobinemia

Correct answer: 2. Acute intermittent phorphyria

Explanation: Ans. (b) Acute intermittent phorphyriaMust Know* Thiopentone is C/I in acute intermittent porphyria.* Etomidate is C/I in adrenal insufficiency.* LA which causes meth hemoglobinemia: Prilocaine* Malignant hyperthermia is caused by: Succinylcholine* DOC for malignant hyperthermia: Dantrolene